IQ between 50–70 indicates –
1. Mild mental retardation
2. Moderate retardation
3. Severe retardation
4. Profound retardation

Correct answer: 1. Mild mental retardation